If during blood transfusion reaction develops in the form of incompatibility, the first thing to be done is
1. Stop the transfusion
2. Inj Hydrocortisone to be given
3. Inj Chlorpheneramine maleate to be given
4. Inj Frusemide to be given

Correct answer: 1. Stop the transfusion